Investigation of choice on Meckel's Diverticula in pediatric age group is
1. USG
2. CT
3. Barium meal
4. Na 99m Tc- pertechnetate

Correct answer: 4. Na 99m Tc- pertechnetate

Explanation: In case of children 99mTc-pertechnetate is preferentially taken up by the mucus secreting cells of gastric mucosa and ectopic gastric tissue in Meckel's Diverticula. In adults less ectopic gastric tissue is seen so the test is not much accurate in adults Ref: Sabiston 20th edition Pgno :1285